The following is a characteristic symptom of chronic pelvic inflammatory disease :
1. Dysuria
2. Constipation
3. Backache
4. Fever

Correct answer: 3. Backache

Explanation: Backache